Half life of radioactive fluorine 18:-
1. 110 mins
2. 110 days
3. 110 secs
4. 110 hours

Correct answer: 1. 110 mins

Explanation: RADIOISOTOPE HALF UFE IODINE 131 8 DAYS IODINE 125 60 DAYS IODINE 124 4 DAYS IODINE 123 13 HOURS PHOSPHORUS-32 14 DAYS RADIUM(RA-226) 1622 Years Cobalt-60 5.2 Years Cesium -137 30 years TC-99m 6 hours Indium(lr-192) 74.5 Days 18F(18FDG) 110 Aim Strontium 89